Most sensitive test for detection of argemone oil-
1. Nitric acid test
2. Paper chromatography
3. Phosphatase test
4. Methylene blue test

Correct answer: 2. Paper chromatography

Explanation: The most sensitive test is paper chromatography. It can detect argemone oil up to0.001percent. REF. PARK'S TEXTBOOK OF PREVENTIVE AND SOCIAL MEDICAL 21ST EDITION. PAGE NO - 608